A study generated a normal distribution with a mean value as 200 and standard deviation of 20. 68% of area will fall between
1. 180-220
2. 160-240
3. 190-210
4. 150-250

Correct answer: 1. 180-220

Explanation: Normal curve (De Moivrre and Gauss)* Bell shaped, bilaterally symmetrical infinitely large number of observations* Area of the curve is 1* Mean median and mode all coincide which is 0* Standard deviation and variance- 1* Mean +- I SD = 68 % area* Mean +- 2 SD = 95 % area* Mean +- 3 SD = 99% area